Libmann sacks endocarditis is associated with?
1. SLE
2. NBTE
3. Rheumatic
4. Fungal

Correct answer: 1. SLE

Explanation: Libman-Sacks endocarditis is characterized by the presence of sterile vegetations on the valves of patients with systemic lupus erythematosus. The lesions probably develop as a consequence of immune complex deposition and thus exhibit associated inflammation, often with fibrinoid necrosis of the valve substance adjacent to the vegetation; subsequent fibrosis and serious deformity can result in lesions that resemble chronic rheumatic heart disease. (Robbins Basic Pathology,9th edition,pg no.395)